Composition of fixer solution:
1. Na thiosulfate, acetic acid,  Na2SO4, KBr
2. Na thiosulfate, acetic acid,  Na2SO4, Al
3. Hydroquinone, acetic acid, Na2SO4, KBr
4. Hydroquinone, acetic acid,  Na2SO4, Al

Correct answer: 2. Na thiosulfate, acetic acid,  Na2SO4, Al

Explanation: Fixing solution also contains four components, all dissolved in water:  (1) clearing agent, (2) acidifier,  (3) preservative, and (4) hardener.
 
Clearing Agent
An aqueous solution of ammonium thiosulfate (“hypo”) dissolves the unexposed silver halide grains.
 
Acidifier
The fixing solution contains an acetic acid buffer system (pH 4 to 4.5) to keep the fixer pH constant.
 

Preservative
Ammonium sulfite is the preservative in the fixing solution, as it is in the developer.

 
Hardener
A hardening agent, usually aluminum sulfate, complexes with the gelatin during fixing and prevents damage to the gelatin during subsequent handling. 
 
 
 
Reference: White and Pharoah's Oral Radiology Principles and Interpretation 7th edition page no 70